Tumour which can occur following exposure to radiation is:
1. Osteosarcoma
2. Osteoblastoma
3. Ewing's sarcoma
4. Osteoclastoma

Correct answer: 1. Osteosarcoma

Explanation: Ans. A: Osteosarcoma Radiation-induced tumors Benign tumors - Benign exostoses in the treatment field of growing bones Malignant tumors Osteosarcoma is most common but undifferentiated fibrosarcoma is nearly as frequent Head and neck are most common sites for induced osteosarcoma - Chondrosarcoma may also occur Suspect clinically when pain and swelling occur in irradiated area many years after treatment Radiation changes in bone occur above 3000 rads